Most lethal karyotype is?
1. 45, YO
2. 45, XO
3. 47, XXY
4. 48, XYYY

Correct answer: 1. 45, YO

Explanation: Most lethal karyotype is 45,YO Monosomy is more dangerous than trisomy. Turner Syndrome(X0) is only monosomy compatible with life. 45,YO karotype is fetal in utero and not compatible with life Monosomy In Autosomes In Sex Chromosome Not found Lethal Turner Syndrome (XO) Viable